Alpha oxidation does not generate energy but it is important for brain. In which of the cell organelle does alpha oxidation takes place?
1. Peroxisomes
2. Nucleoli
3. Mitochondria
4. Nucleus

Correct answer: 1. Peroxisomes

Explanation: Alpha oxidation: It is a process by which fatty acids are oxidised by removing carbon atoms from the carboxyl end. The fatty acid does not need activation. This process occurs in the endoplasmic reticulum, does not require CoA, but does not generate energy. Some fatty acids undergo alpha oxidation in peroxisomes also. Alpha oxidation is mainly used for fatty acids that have a methyl group at the beta-carbon, which blocks beta-oxidation. Ref: Textbook of Biochemistry by DM Vasudevan, 5th edition, Page 137.